Muscle relaxant of choice in liver disease is?
1. Atracurium
2. Pipecuronium
3. Rocuronium
4. Vecuronium

Correct answer: 1. Atracurium

Explanation: Ans. (A) Atracurium(Ref: Katzung 11th/e p456, KDT 8th/e p.380)Atracurium and cis-atracurium are degraded spontaneously by Hoffman's elimination. These do not require liver or kidney for elimination and thus are muscle relaxant of choice in a patient with renal and hepatic dysfunction.Other drugs mentioned in the question are metabolized by liver and thus should be avoided in hepatic failure.